Osmolarity of ORS fluid -
1. 245 mmol/L
2. 280mmol/L
3. 180mmol/L
4. 145 mmol/L

Correct answer: 1. 245 mmol/L

Explanation: Ans. is 'a' i.e., 245 mmol/LOral rehvdration solution (ORS)o Because of the improved effectiveness of reduced osmolarity ORS solution, WHO and UNICEF are recommending that countries manufacture and use the following formulation in place of the previously recommended ORS solution.Reduced osmolarity ORSGrams/Litremmol/lito Sodium chloride2[?]6Sodium75o Glucose anhydrous13[?]5Potassium20o Potassium chloride1[?]5Chloride65o Trisodium litrate dihydrate2[?]9CitrateGlucose1075Total20[?]5 245o Oral fluid therapy is based on the observation that glucose given orally enhances the intestinal obsorption of salt and water, and is capable of correcting the electrolyte and water deficit.